AP diameter is more than transverse diameter in the following:
1. Anthropoid pelvis
2. Android pelvis
3. Platypelloid pelvis
4. Gynecoid pelvis

Correct answer: 1. Anthropoid pelvis

Explanation: Ans: A (Anthropoid pelvis) Ref: Dutta Textbook of Obstetrics pg 346Explanation:Traditional obstetrics characterizes four types of pelvises:Gyneceid: Ideal shape, with round to slightly oval (obstetrical inlet slightly less transverse) inlet: best chances for normal vaginal delivery.Android: Triangular inlet, and prominent ischial spines, more angulated pubic arch.Anthropoid: The widest transverse diameter is less than the anteroposterior (obstetrical) diameter.Platypelloid: Flat inlet with shortened obstetrical diameter. (See the following table)